A 35 year old pregnant female at 40 weeks gestational age presents with pain and regular uterine contractions every 4-5 min. On arrival,the patient is in lot of pain and requesting relief immediately. Her cervix is 5cm dilated. What is the most appropriate method of pain control for this patient?
1. Intramuscular morphine
2. Pudendal block
3. Local block
4. Epidural block

Correct answer: 4. Epidural block

Explanation: When complete relief of pain is needed throughout labour,epidural analgesia is safest and simplest. Ref: Williams Obs 24e pg 513 .